Uterine souffle :
1. Is a soft blowing murmur synchronous with foetal heart sounds
2. Is due to increase in blood flow through the dilated uterine vessels
3. Is due to the active foetal movements
4. Indicates the underlying foetal distress

Correct answer: 2. Is due to increase in blood flow through the dilated uterine vessels

Explanation: Ans. is b i.e. Is due to increase in blood flow through the dilated uterine vessels Uterine souffle is a soft blowing systolic murmur The sound is synchronous with maternal pulse It is due to increase in blood flow through the dilated uterine vessels Heard low down at the sides of the uterus, best on the left side It can also be heard in big uterine fibroid. Note Soft blowing murmur synchronous with the fetal heart sound is called Fetal / Funic souffle.